String sign of Kantor is seen in:
1. Ulcerative colitis
2. TB
3. Carcinoma
4. Crohn's disease

Correct answer: 4. Crohn's disease

Explanation: Ans. D i.e. Crohn's disease Gastrointestinal tract: Radiological signs and conditions Single bubble sign: Pyloric stenosis IOC for acute cholecystitis: HIDA scan Features of cholecystitis: Thick gall bladder wall, Peri-gall bladder halo etc. Double bubble sign: - Annular pancreas, - Duodenal atresia etc. Chain of lake appearance: Chronic pancreatitis Fox sign: Acute pancreatitis Widening of duodenal C loop: Ca head of pancreas Bird of prey sign: Sigmoid volvulus Thumb printing sign: Ischemic colitis